Fredrich's ataxia is caused by which type of mutation -
1. Point mutation
2. Expanded trinucleotide repeat
3. Missense mutation
4. Inversion

Correct answer: 2. Expanded trinucleotide repeat